Mutation that completely disrupt the function of the gene used in which of the following technique:
1. Knock-out
2. Non-sense mutation
3. Restrictin fragment length polymorphism
4. None

Correct answer: 1. Knock-out

Explanation: A i.e. Knock-out